All are methods of sterilization except -
1. Ionizing radiation
2. Ethylene oxide
3. Formaldehyde
4. Chlorhexidne

Correct answer: 4. Chlorhexidne

Explanation: Ans. is 'd' i.e., Chlorhexidne Sterilizationo The process by which an article surface or medium is freed of all living microorganisms either in the vegetative or spore state - Complete absence of microorganism.Disinfectiono Destruction or removal of all pathogenic organisms capable of giving rise to infection - reduction in the microorganisms to such a level which is deemed no longer harmful to health.o Various methods of sterilization and disinfection areMethods|||SterilizationDisinfection1) Heat1) Heat2) Ionizing radiations# b (electron) irradiation# g (photon) irradiation2) U.V. radiation3) Gases4) Filtration3) Filtration5) Chemicals4) Sterilant gases# Ethylene oxide# Formaldehyde# Alcohols# Chlorhexidine# Glutaraldehyde5) Sterilant liquids# Glutaraldehyde# Hypochlorites# Iodine# Phenolic compounds